Useful in acute diarrhea is
1. Zinc
2. Magnesium
3. Calcium
4. Potassium

Correct answer: 1. Zinc

Explanation: Most cases of diarrhea are acute, self-limited, and due to infections or medication. Fluid and electrolyte replacement is of central importance to all forms of acute diarrhea. In moderately severe nonfebrile and non-bloody diarrhea, antimotility and antisecretory agents such as loperamide can be useful adjuncts to control symptoms. Judicious use of antibiotics is appropriate in selected instances of acute diarrhea and may reduce its severity and duration . Zinc (20 mg/d until recovery) may be an effective adjunctive therapeutic strategy for diarrheal disease and pneumonia in children >= 6 months of age. Ref: Harrison's Principles of Internal Medicine; 19th edition; Chapter 96e; Vitamin and Trace Mineral Deficiency and Excess